When the level of hardness in water is around 150-300 mg / litre it is classified as
1. Very hard water
2. Soft water
3. Moderately hard water
4. Hard water

Correct answer: 4. Hard water